Hypotension with muffled sounds and congested neck veins is seen in?
1. Cardiac tamponade
2. Pericardial effusion
3. Constrictive pericarditis
4. Acute congestive heart failure

Correct answer: 1. Cardiac tamponade

Explanation: Ans. (a) Cardiac TamponadeRef.: Harrison 18th edition, chapter 238Becks triad is a collection of three medical signs associated with acute cardiac tamponade, an emergency condition wherein fluid accumulates around the heart and impairs its ability to pump blood. The signs are:* Low arterial blood pressure* Distended neck veins* Distant, muffled heart sounds.Constrictive pericarditis can present with hypotension and congested neck veins but muffled heart sounds are not present.